Which of the following H1 blocker has high anticholinergic activity :
1. Cetirizine
2. Chlorpheniramine
3. Fexofenadine
4. Astemizole

Correct answer: 2. Chlorpheniramine